Exhumation is done in which age group:
1. 18 years
2. 16 years
3. 21 years
4. All ages

Correct answer: 4. All ages

Explanation: Ans. All ages